Following sensory impairments occur in extensive damage to primary somatosensory area of cerebral cortex, EXCEPT:
1. Pressure
2. Sensory localization
3. Exact weight determination
4. Pain

Correct answer: 4. Pain

Explanation: Answer is D (Pain): Lesion of the primary somatosensory area does not lead to loss in pain sensation. Involvement of the secondary somatosensory area is associated with alteration in pain sensation. Primary Somatosensory area is (Area 3, 1, 2) Lesions in this area produce contralateral impairment of: - Touch Sterognosis Pressure Barognosis Proprioception Cutaneographia Two point discrimination